Spike and Dome pattern is seen in:
1. Petitmal seizures
2. Grandmal seizures
3. Clonic seizures
4. Myoclonic seizures

Correct answer: 1. Petitmal seizures

Explanation: Ans. A: Petitmal seizures This classification is based on observation (clinical and EEG) rather than the underlying pathophysiology or anatomy. Partial seizures (Older term: focal seizures) Simple partial seizures - consciousness is not impaired (With motor, sensory, autonomic or psychic symptoms) Complex partial seizures - consciousness is impaired (Older terms: temporal lobe or psychomotor seizures) Partial seizures evolving to secondarily generalized seizures Generalized seizures -- Absence seizures (Older term: petit mal) - Myoclonic seizures - Tonic seizures - Tonic-clonic seizures (Older term: grand mal) - Atonic seizures Unclassified epileptic seizures Absence seizures: This condition however usually affects children(aged 4-8 year) as opposed to adults, and no warning are given e.g Aura, although the patient may act strangely including a blank stare. It can be defined as 5 - 30 sec of unconsciousness, during which muscles undergoe twitchlike contractions, normally the head region e.g blinking of the eyes. The contractions are usually followed by consciousness and resumation of previous activities. The brain wave pattern is typified by a spike and dome reading. Where the spike region of the recording is almost identical to the spikes that occur in Grand Mal epilepsy, but the dome region's are distinctly different.